Mechanism of action of Combined OCP pills:
1. Prevent fertilization
2. Prevent release of ovum from ovary
3. Prevent implantation of fertilized ovum
4. Reduce sperm motility

Correct answer: 2. Prevent release of ovum from ovary

Explanation: Ans. (b) Prevent release of ovum from ovaryRef: K. Park 23rded. /501* Combined oral contraceptive pills act by inhibiting ovulation by suppressing the release of gonadotropins.* Continuous progesterone by OCPs which give negative feedback to GnRH, which decreases LH release and upto some extent FSH release also.* This prevents LH surge and as a result inhibits ovulation.